Cardiomyopathy is caused by
1. Actinomycin D
2. Doxorubicin
3. Mitomycin C
4. Mitoxantrone

Correct answer: 2. Doxorubicin

Explanation: Ref: Katzung 14th ed. pg. 964-65; KDTy 6th ed. pg. 826-27* Doxorubicin and daunorubicin are anti-tumor antibiotics. Activity of Daunorubicin is limited to acute leukemia while doxorubicin is effective in several solid tumors.# MOA: Cause breaks in DNA strands by activating topoisomerse II and generating quinolone type free radicals.# Doxrorubicin and daunorubicin both these antibiotics produce cardiotoxicity as a unique adverse effect.* Actinomycin D (Dactinomycin) It is a very potent antineoplastic drug, highly efficacious in Wilms' tumour and rhabdomyosarcoma# Prominent adverse effects are vomiting, stomatitis, diarrhoea, erythema and desquamation of skin, alopecia and bone marrow depression* Mitoxantrone: Recently introduced analogue of doxorubicin with lower cardiotoxicity, probably because it does not produce quinine type free radicals. Though cardiomyopathy can occur, major toxicity is marrow depression and mucosal inflammation.* Mitomycin C: This highly toxic drug is used only in resistant cancers of stomach, cervix, colon, rectum, bladder, etc# Bone marrow and GIT are the primary targets of toxicity.